Potter's Facies is seen with -
1. Xanthogranulomatous pyelonephritis
2. Bilateral renal agenesis
3. Hepatic fibrosis
4. Kasbach Merritt Syndrome

Correct answer: 2. Bilateral renal agenesis

Explanation: Ans. is 'b' i.e., Bilateral renal agenesis Potter syndromei) Bilateral renal agenesisii) Pulmonary hypoplasiaiii) Potter facies -widely separated eyes with epicanthic folds, low set ears, broad compressed flat nose, receding chin.Maternal USG demonstratesi) Oligohydramniosii) Nonvisulization of bladderiii) Absent kidney